Iron is actively absorbed mainly in:-
1. Stomach
2. Duodenum
3. Jejunum
4. Ileum

Correct answer: 2. Duodenum

Explanation: Almost all iron absorption occurs in the duodenum.